Mast cell stabilizer used in Bronchial Asthma is
1. Raloxifene
2. Ketotifen
3. Azelastin
4. Baclofen

Correct answer: 2. Ketotifen

Explanation: Mast cells are important in initiating the acute bronchoconstrictor responses to allergens & several other indirectly acting stimuli like exercise and hyperventillation.Ketotifen is a mast cell stabilizer which reduces the stimulation of mast cells and mediator release is reduced(histamine,PGD2,leukotrienes). Dose:1-2 mg BD;children 0.5 mg BD Reference:Harrison' s medicine-18th edition,page no:2104;Textbook of pharmacology-K D Tripathi,7th edition,page no:229